Involvement of neck lymph nodes is seen in all the following except -
1. Hodgkin's lymphoma
2. Vocal cord carcinoma
3. Tumors of the hypopharynx
4. Nasopharyngeal carcinoma

Correct answer: 2. Vocal cord carcinoma